The axillary artery is divided into three parts by
1. Pectoralis major
2. Pectoralis minor
3. Teres major
4. Teres minor

Correct answer: 2. Pectoralis minor

Explanation: Axillary artery is the continuation of the subclavian artery. It extends from the outer border of the first rib to the lower border of the teres major muscle. It continues as the brachial artery. The pectoralis minor muscle crosses it and divides it into three parts. they are - (i) First part, superior (proximal) to the muscle. (ii) Second part, posterior (or deep) to the muscle. (iii) Third part, inferior (distal) to the muscle. Ref : B D Chaurasi's Human Anatomy , seventh edition , volume 1 , pg. no., 50 ( fig. 4.6 )